Dimension stability of hydrocollids may be achieved by
1. optimizing w:p
2. using cold water
3. prolonged manipulation
4. using humidor

Correct answer: 4. using humidor